Which of the following is a vesicant
1. Lewisite
2. Sarin
3. Chlorine
4. Chloracetophenone

Correct answer: 1. Lewisite

Explanation: Lewisite - VESICANT Sarin- NERVE GAS Chlorine - ASPHYXIANT Chloracetophenone - TEAR GAS